Which of the following deformity is evident in case of erbs palsy?
1. Policeman tip deformity
2. Winging of scapula
3. Claw- hand
4. Wrist drop

Correct answer: 1. Policeman tip deformity

Explanation: Ans. is 'a* i.e., Policeman tip deformity